All of the following are seen in cardiac tamponade except-
1. Pulsus paradoxus
2. Diastolic collapse of right ventricle on echocardiogram
3. Electrical alterans
4. Kussumaul's Sign

Correct answer: 4. Kussumaul's Sign